Duret's haemorrhage is seen in:
1. Retina
2. Ventricles
3. Midbrain and pons
4. None of the above

Correct answer: 3. Midbrain and pons

Explanation: Duret hemorrhages are secondary herniation hemorrhages in the midbrain and pons ranging from small streaks to confluent hemorrhages. Ref: Reddy 23rd ed, page 208.